A flat discolouration on skin as 1 cm is called :
1. Macule
2. Plague
3. Boil
4. Papule

Correct answer: 1. Macule

Explanation: A. i.e. Macule